Indicators of the Elimination of neonatal Tetanus includes the following EXCEPT
1. Incidence rate < 0.1/1000 live births
2. > 75% deliveries conducted by trained dais
3. > 90% coverage of 3 antenatal visits
4. TT2 injection coverage in pregnant mothers > 90%

Correct answer: 3. > 90% coverage of 3 antenatal visits

Explanation: Ans. c (> 90% coverage of 3 antenatal visits) (Ref. Park PSM 22nd/262, 263)NEONATAL TETANUS# WHO estimates that only 5% of neonatal tetanus cases are actually reported, even from well developed surveillance systems. For this reason, neonatal tetanus is called "the silent killer".# Signs of neonatal tetanus usually appear 3 to 10 days after birth. At first the infant is able to feed normally. Then the infant cannot suckle and becomes irritable. Convulsions occur with increasing intensity and frequency. In the developing world, the disease progresses to difficult breathing, exhaustion, starvation, and, in most cases, death.Eliminating Neonatal Tetanus# The World Health Assembly has resolved to eliminate neonatal tetanus by the year 2000.# The WHO global target for neonatal tetanus elimination is to reduce the incidence of neonatal tetanus to less than 1 case of neonatal tetanus (NT) per 1000 live births in every district of every country in the world.# Reaching this target will reduce the global incidence of neonatal tetanus to less than 150 000 cases per year.# Fortunately, more than 60% of developing countries have already met the neonatal tetanus elimination target.Neonatal Tetanus Elimination (Classification of Districts)NT high risk:-Rate >1/1000 live birthsOr-TT2 coverage <70%Or-Attended deliveries <50%NT control:-Rate <1/1000 live birthsand-TT2 coverage >70%and-Attended deliveries >50%NT elimination:-Rate <0.1/1000 live birthsand-TT2 coverage <90%and--Attended deliveries >75%Recommended Strategies for Neonatal Tetanus EliminationTetanus transmission can be prevented during childbirth by improving immunization services, especially for pregnant women, promoting clean delivery and cord care practices, and proper disease reporting and case investigation systems.Additional educational point:A skilled birth attendant uses "the three cleans".Most programmes of prevention of neonatal tetanus have concentrated on training the traditional birth attendants, providing health delivery kits and educating pregnant women about the 'three cleans':# Clean hands# Clean delivery surface# Clean cord care (clean blade for cutting the cord + clean tie for the cord + no application on the cord stump).